Squamous cell carcinoma with best prognosis is:
1. Lip
2. Tongue
3. Palate
4. Floor of the mouth

Correct answer: 1. Lip